Congenital toxoplasmosis - False is-
1. Diagnosed by detection of IgM in cord blood
2. IgA is more sensitive than IgM for detection
3. Dye test is gold standard for IgG
4. Avidity testing must be done to differentiate between IgA & IgM

Correct answer: 4. Avidity testing must be done to differentiate between IgA & IgM